The most common presentation of endemic goiter is -
1. Hypothyroid
2. Diffuse goiter
3. Hyperthyroid
4. Solitary nodule

Correct answer: 2. Diffuse goiter